A new drug does not prevents a disease from occurring but reduce death due to that disease. Which of the following is true:
1. It will increase the incidence and prevalence
2. It will decrease the incidence and prevalence
3. Prevalence is increased
4. Incidence is increased

Correct answer: 3. Prevalence is increased

Explanation: Ans. C: Prevalence is increased In epidemiology, the prevalence of a disease in a statistical population is defined as the total number of cases of the disease in the population at a given time, or the total number of cases in the population, divided by the number of individuals in the population. It is used as an estimate of how common a condition is within a population over a certain period of time. Prevalence refers to all current cases (old and new) existing at a given point in time, or over a period of time in a given population. Although referred to as a rate, prevalence rate is a ratio. Incidence rate is the number of new cases occurring in a defined population during a specified period of time.